Which of the following is not a premalignant condition oral cancer?
1. Leukoplakia
2. Erythroplakia
3. Oral submucous fibrosis
4. Systemic Sclerosis

Correct answer: 4. Systemic Sclerosis

Explanation: Lesions with an increased risk of malignancy on oral cancerPremalignant condition:- Leukoplakia, Erythroplakia, speckled erythroplakia, chronic hyperplastic candidiasisConditions increasing risk:- Oral submucous fibrosis, syphilitics glossitis, sideropenic dysphagia (Peterson Kelly syndrome)The risk is doubtful:- Oral lichen planus, DLE, Dyskeratosis congenital.Ref: PL Dhingra, Diseases of Ear, Nose & Throat, 7th edition, pg no. 253